True about sliding esophageal hernia in all cases ?
1. Esophagus always short
2. Cardia goes through hiatus
3. Cardia and fundus goes through hiatus
4. Peritoneal sac goes with paraesophageal hernia

Correct answer: 2. Cardia goes through hiatus

Explanation: Answer is 'b' i.e. Cardia goes through hiatus